pNET is associated with ?
1. Zollinger Ellison syndrome
2. Intestinal metaplasia
3. Peutz jegher syndrome
4. Familial polyposis coli

Correct answer: 1. Zollinger Ellison syndrome

Explanation: Pancreatic neuroendocrine tumors (pNETs) are neuroendocrine tumors (NETs) that are found primarily in the pancreas and upper small intestine and are frequently also referred to as pancreatic endocrine tumors (PETs). There are ten different commonly recognized pNETs. Nine of these is associated with a specific functional syndrome including gastrinomas (Zollinger-Ellison syndrome), insulinomas, glucagonomas, VIPomas (Verner-Morrison syndrome, pancreatic cholera, WDHA syndrome), GRFomas (growth hormone releasing factor secreting), ACTHomas, somatostatinomas, pNETs causing carcinoid syndrome and pNETs causing hypercalcemia (PTHrPomas) Reference : page 816 Bailey and Love's short practice of surgery 25th edition